Mucocutaneous leishmaniasis is caused by -
1. L-braziliensis
2. L. tropica
3. L.donovani
4. L-orientaiis

Correct answer: 1. L-braziliensis

Explanation: Ans. is 'a' i.e., L. braziliensis Leishmaniasiso Visceral leishmaniasis (Kata azar)- L. donovanso Cutaneous Leishmaniasisa) Oriental soreb) Mucocutaneous leishmaniasis (Espundia)- L. tropica- L. brasiliensis